Punched out ulcer in oesophagus on endoscopy in a immunocompromised patient is seen in
1. Herpes zoster virus
2. Herpes simplex virus
3. Cytomegalo virus
4. Candidiasis

Correct answer: 2. Herpes simplex virus

Explanation: Dysphagia and odynophagia are the symptoms caused by herpes. There may be history of heretic lesion on lip some days earlier. Endoscopy reveals vesicles or small ulcers with raised margins, usually in the upper half of the oesophagus. Ref: Bailey and love 27th edition Pgno: 1104